Anchorage is better provided by
1. Single rooted teeth
2. Multi rooted
3. Narrow rooted
4. Small rooted teeth

Correct answer: 2. Multi rooted